Best method to diagnose HIV in infancy is:
1. Western blot
2. ELISA
3. PCR
4. All

Correct answer: 3. PCR

Explanation: WHO recommends HIV testing: <18 months HIV DNA or RNA PCR or HIV culture >18 months IgG antibody to HIV by ELISA and western blot test